Family size is -
1. Total number of family members in the family
2. Total number of female children born in the family
3. Total number of children in the family
4. Total number of female children in the family considering the mortality

Correct answer: 3. Total number of children in the family

Explanation: Family size 

Family size means the total number of children a woman has born at a point in time.
The completed family size indicates the total number of children borne by a woman during her child bearing age (15 - 45 years).
The total fertility rate gives the approximate magnitude of the completed family size. 
The family planning programme's campaign is currently based on the theme of a "two-child"family norm, with a view to reach the long-term demographic goal of NRR = 1